In moderate malnutrition, weight for age is -
1. 90-110%
2. 75-90%
3. 60-75%
4. 50-60%

Correct answer: 3. 60-75%

Explanation: parks textbook of preventive and social medicine 23rd edition. * weight for age =(weight of child /weight of a normal child of same age)100 normal nutritional status :90-110% mild malnutrition:75-89% moderate malnutrition:60-74% severe malnutrition:under 60% .